Vortex has
1. M wire phase NiTi
2. R phase NiTi
3. Blue wire technology
4. All of the above

Correct answer: 1. M wire phase NiTi